All of the following are true for patients of ulcerative colitis associated with primary sclerosing cholangitis (PSC), EXCEPT:
1. They may develop biliary cirrhosis
2. May have raised alkaline phosphatase
3. Increased risk of hilar Cholangiocarcinoma
4. PSC reverts after a total colectomy

Correct answer: 4. PSC reverts after a total colectomy

Explanation: Colectomy for colitis makes no difference to the course of primary sclerosing cholangitis. Inpatients with associated ulcerative colitis the course of each disease seems independent of the other. Ref: Schwartz Principles of Surgery, 8th Edition, Page 1210